Vision is tested in the newborn by
1. Electrooculogram
2. Electroretinogram
3. Visual Evoked potentials
4. Brainstem Response assessment

Correct answer: 3. Visual Evoked potentials

Explanation: Methods of assessing vision in infants:Papillary light reflexRed reflexOptokinetic nystagmus (using nystagmus drum)Visual evoked potentialsAbility to follow a target(Refer: Nelson's Textbook of Pediatrics, SAE, 1st edition, pg no. 2802)